Buschke - Lowenstein tumor is -
1. Molluscum contagiosum
2. Condyloma lata
3. Giant condyloma accuminata
4. Metastasis

Correct answer: 3. Giant condyloma accuminata

Explanation: Ans. is 'c' i.e., Giant condyloma accuminata